Tissue of origin of Kaposi's sarcoma is:
1. Lymphoid
2. Vascular
3. Neural
4. Muscular

Correct answer: 2. Vascular

Explanation: Ans. (b) Vascular